Best method for cancer cervix screening is :
1. Pap smear
2. Colposcopy
3. Biopsy
4. Colpomicroscopy

Correct answer: 1. Pap smear

Explanation: Pap smear